Which of the following are features of Gorham's diseases (Disappearing Bones):
1. Progressive disappearance of bone association with multiple hemangiomatosis or multiple lymphangiectasis
2. Usually the progression involves contiguous bones, but occasionally multiple sites are "affected
3. Patients present with mild pain or with pathological fracture
4. All of the above

Correct answer: 4. All of the above

Explanation: Ans. D. ALL of the aboveAll the features described are a feature of this rare disorder no effective treatment has been found, but spontaneous arrest has been described occasionally however the process speeds to vital structures and the outcome is fatal.